All of the following drugs are used for managing status epilepticus except :
1. Phenytoin
2. Diazepam
3. Thiopentone sodium
4. Carbamzepine

Correct answer: 4. Carbamzepine

Explanation: Answer is D (Carbamazepine) : Carbamazepine is the most effective drug for complex partial seizures and shares first choice drug status with phenytoin fior generalized tonic clonic seizures and simple partial seizures. It is however not indicated in status epilepticus.